Recommended vaccines for rabies -
1. Semple
2. Duck embryo vaccine
3. Suckling mouse brain vaccine
4. HDCV

Correct answer: 4. HDCV

Explanation: HDCV, PCEC, PVC vaccines are currently used for immunization REF:
ANATHANARAYANAN MICROBIOLOGY NINTH EDITION PAGE.535